Green blue postmortem discoloration is seen in which poisoning –
1. Cyanide
2. Carbon monoxide
3. Hydrogen sulphide
4. Phosphorous

Correct answer: 3. Hydrogen sulphide

Explanation: The colour of postmortem hypostasis in hydrogen sulphide poisoning is bluish green. It is an asphyxiant which inhibits cytochrome oxidase.